Dumping syndrome is due to:
1. Diarrhoea
2. Presence of hypertonic content in small intestine
3. Vagotomy
4. Reduced gastric capacity

Correct answer: 2. Presence of hypertonic content in small intestine

Explanation: Answer is B (Presence of Hypertonic Contents in small intestine) DUMPING SYNDROME refers to a syndrome of abdominal and vasomator symptoms which results from dumping of food stuffs with a high osmotic load, front the stomach, into the small bowel. Loss of storage capacity of stomach and ablation, by pass or destruction of pylorus, results in rapid emptying of hyperostnolar chyme into duodenummm and small intestine. Extracellular fluid then shifts into the intestinal lumen to restore isotonicity resulting in decreased intravascular volume, which gives rise to the vasomotor symptoms. Note that while reduced gastric capacity contributes, option (b) is a more accurate answer. Dumping Syndrome is actually of two types: Early dumping syndrome (as described above) Late dumping syndrome: This is Reactive hypoglvcemiae. The carbohydrate load in thesmall intestine later causes a rise in plasma glucose, which in turn causes insulin levels to rise causing a secondary hypoglycemia.